Minimum fasting BGL for diagnosis of diabetes mellitus is:
1. 114 mg/dl
2. 120 mg/dl
3. 126 mg/dl
4. 132 mg/dl

Correct answer: 3. 126 mg/dl

Explanation: C i.e. 126 mg/dlCriteria for the diagnosis of Diabetes mellitusSymptoms of diabetes plus random blood glucose concentration >200mg/dlQFasting plasma glucose >126mg /d1.2 hour plasma glucose >200mg /dl during an oral glucose tolerance test.